Brodie Tredelenburg test is done for?
1. Sapheno-femoral incompetence
2. Deep Vein thrombosis
3. Varicose veins
4. Superficial migratory thrombophlebitis

Correct answer: 1. Sapheno-femoral incompetence

Explanation: Ans. (a) Sapheno-femoral incompetenceRef.: SRB manual of surgery Page 228, 4th editionBrodie-Trendelenburg test is used to detect venous incompetence and to differentiate between perforator and Great saphenous incompetence.